Somnambulism is seen in
1. NREM 1
2. NREM 2
3. NREM 3
4. REM

Correct answer: 3. NREM 3

Explanation: Most of the NREM phase disorders occur in NREM 3, except Somnoliquy & Bruxism which are seen in NREM 2.